All are associated with hydramnios except:
1. Premature labour
2. Gestational diabetes
3. Renal agenesis
4. Increased amniotic fluid

Correct answer: 3. Renal agenesis